Neurolathyrism is due to ?
1. Argemone oil
2. Jhunjhunia
3. Khesari dal
4. None

Correct answer: 3. Khesari dal

Explanation: Ans. is 'c' i.e., Khesari dal